False about Lushka joints?
1. These are joints in lateral part of adjacent bodies of cervical vertebra
2. Osteophytes commonly occur in joints
3. Common complication is vertebra basilar insufficiency
4. Cervical nerve roots pass posteromedial to joints

Correct answer: 4. Cervical nerve roots pass posteromedial to joints

Explanation: The joints in the lateral parts of adjacent bodies of cervical vertebrae are called Luschka's joints.The osteophytes commonly occur in these joints.The cervical nerve roots lying posterolateral to these joints may get pressed causing pain along their distributionThe vertebral artery coursing through the foramen transversarium lies lateral to these joints. The osteophytes of Luschka joints may cause distortion of the vertebral artery leading to vertebrobasilar insufficiency. This may cause vertigo, dizzinessReference: Chourasia; 6th edition; 54th page